Which of the following complement component can be activated in both common as well as alternate pathways?
1. C1
2. C2
3. C3
4. C4

Correct answer: 3. C3

Explanation: The complement proteins can be activated by 3 pathways;
Classical,lectin and alternate pathways. Terminal pathway is common to the first three pathways and is present ar the level of the post-activation stage of C3. It eventually leads to the membrane attack complex that lyses cells.